Culex mosquito spreads all of the following disease except:
1. Viral arthritis
2. West Nile fever
3. Yellow fever
4. Bancroftian filariasis

Correct answer: 3. Yellow fever

Explanation: Ans. C: Yellow fever The yellow fever mosquito, Aedes aegypti (= Stegomyia aegypti = Aedes (Stegomyia) aegypti), is a mosquito that can spread the dengue fever, Chikungunya and yellow fever viruses. The mosquito can be recognized by white markings on legs and a marking in the form of a lyre on the thorax.